Toxic Epidermal necrolysis is also called -
1. Sweet's syndrome
2. Lyell's syndrome
3. Hailey and Hailey's disease
4. Duhring's disease

Correct answer: 2. Lyell's syndrome